Ossification center of upper end of ulna is united by:
1. 9 years
2. 11 years
3. 14 years
4. 16 years

Correct answer: 4. 16 years

Explanation: Ans. 16 years